First layer of sole has
1. Abductor hallucis
2. Flexor hallucis longus
3. Flexor hallucis brevis
4. Adductor hallucis

Correct answer: 1. Abductor hallucis

Explanation: SOLE OF THE FOOT:- 4 layers of muscles Muscles of first layer:-1. Flexor digitorum brevis2. Abductor hallucis 3. Abductor digiti minimi Muscles of second layer:-1. Tendons of FDL2. Tendon of FHL3. flexor digitorum accessorius 4. Lumbrical muscles Muscles of third layer:-1. Flexor hallucis brevis 2. Flexor digiti minimi brevis 3. Adductor hallucis Muscles of fourth layer:-1. Tendon of Tibialis posterior 2. Tendon of Peroneus tertius 3. Interosseus muscles {Reference: BDC 6E pg no.115 chapter 10}